All of the following are true about Temporal Arteritis except.
1. Polymyalgia Rheumatica
2. Anemia
3. Low ESR
4. Sudden blindness

Correct answer: 3. Low ESR

Explanation: Answer is C (Low ESR): Temporal arteritis is characterised by an increased ESR. TEMPORAL ARTERITIS / GIANT CELL ARTERITIS / CRANIAL ARTERITIS : Inflammation (vasculitis) of MediumQ and Large sizedQ arteries Most common artery involved - Carotid artery (temporal branch of carotid arteryQ) Classical Clinical complex - Fever - Anemias - Headache High ESRe (Elderly patient: almost exclusively in individuals older than 55 years) The diagnosis is confirmed by biopsy of the temporal arteryQ. Temporal arteritis is treated by glucocorticoid therapye. Other manifestations Polymyalgia rheumatica syndromes Thickened and nodular temporal artery Scalp pain, claudication of jaw and tongue (due to temporal artery involvement). Ocular involvements/Sudden blindnessQ (due to Ischemic optic neuritis) Claudication of extremities, Stroke, Myocardial infarction, Aortic aneurysm, Aortic dissection, Infarction of visceral organs (due to systemic vasculitis of multiple medium and large sized arteries)